A 55ps old male presents with tachypnea and mental confusion. Blood glucose 350mg/dL pH 2.7 What is the most likely acid base disorder
1. metabolic alkalosis
2. Respiratory alkalosis
3. Metabolic acidosis
4. Respiratory acidosis

Correct answer: 3. Metabolic acidosis

Explanation: The condition of patient is D K A ref : harrisons 21st ed